Keivms skin test is used for diagnosis of
1. Sarcoidosis
2. Wegeners granulomatosis
3. Graves disease
4. None

Correct answer: 1. Sarcoidosis

Explanation: Ans. is 'a' i.e., Sarcoidosis Kveim test (Nickerson-kveim or Kveim-Siltzbach test) was a skin test used to detect sarcoidosis. It is not used know.